Which test is used to measure nasal mucociliary clearance?
1. Saccharin test
2. SISI test
3. handkerchief test
4. Endoscopy

Correct answer: 1. Saccharin test

Explanation: Ans. is 'a' i.e., Saccharin test Nasal mucociliary clearance testso Nasal nitric oxide measuremento Saccharin testo Tests using radioisotope labeled particlesNasal myiasis (Maggots in nose)o It results from the presence of ova of flies particularly chrysomia species in the nose which produce ulceration and destruction of nasal structure. Mostly seen in atrophic rhinitis when the mucosa becomes insensitive to flies laying eggs inside.Clinical featureso Initial symptoms (3-4 days maggots):- Intense irritation, sneezing, headache, blood stained disharge, lacrimation.o Later:- Maggots may crawl out of nose and there is foul smell.Complicationso Destruction of nose, sinuses, soft tissues of face, palate and eyeballo Fistulae in nose and palateo Death occurs due to meningitis.Treatmento Chloroform water or vapor must be instilled in order to anaesthetize or kill the maggots and so release their grip from the skin.